All of the following are included in grievous injury/hurt except -
1. Loss of testis
2. Loss of eye
3. Loss of kidney
4. Abrasion of the face

Correct answer: 4. Abrasion of the face

Explanation: The synopsis of forensic medicine & toxicology;Dr k.s narayan reddy; 28th edition; pg.no. 154& 155 ; Abrasion on face will not be a permanent disfiguration of face ,hence not grievous hurt ,all the other comes under grievous hurt .